Health education Involves everything except:
1. Makes people think for themselves
2. Develops reflexive behavior
3. Appeals to reasoning
4. Trains primitive desires

Correct answer: 2. Develops reflexive behavior